The commonest cause of U/L mucopurulent rhinorrhoea in a child:
1. Antrochoanal polyp
2. Foreign body
3. Angiofibroma
4. Rhinosporidiosis

Correct answer: 2. Foreign body

Explanation: (b) Foreign body(Ref. Scott Brown, 8th ed., Vol 2; 386)Antrochoanal polyp usually presents with unilateral nasal obstruction. Nasal discharge if occurs is mucoid.Angiofibroma presents with repeated torrential or profuse epistaxis in pubertal males.Rhinosporidiosis presents with epistaxis and a mulberry nasal mass.